Pedigree analysis chart?
1. Used for growth monitoring
2. To assess side effect during chemotherapy
3. Used to see gentic transmission
4. To assess developmental delay in infant

Correct answer: 3. Used to see gentic transmission

Explanation: Ans. is 'c' i.e., Used to see genetic transmission